In congenital adrenal hyperplasia precocious puberty in male is due to -
1. 21 alpha hydroxylase deficiency
2. 11 Beta hydroxylase deficiency
3. Both
4. None

Correct answer: 3. Both

Explanation: Ans. is 'c' i.e., Both Etiology of precocious puberty in boys Central - cause: GonadoGonadotropindent Idiopathic CNS tumor - Harmartoma, craniopharyngioma. CNS Infection - TBM, Meningitis CNS Injury - Trauma, surgery, radiation. CNS malformation- Arachnoid cyst, hydrocephalus Peripheral cause : Gonadotropin independent Congenital adrenal hyperplasia 21-hydroxylase deficiency - Most common 11 b hydroxylase def Adrenal tumor - Adenoma, carcinoma Testicular tumor - Seminoma, germinoma Activation of LH receptor HCG secreting tumor - Germinoma, hepatoblastoma Testosterone cream